All of the following may cause Traumatic Asphyxia, except
1. Railway Accident
2. Road Traffic Accident
3. Accidental strangulation
4. Stampede in crowd

Correct answer: 3. Accidental strangulation

Explanation: Traumatic asphyxia results from respiratory arrest due to mechanical fixation of the chest so that the normal movements of the chest wall are prevented. Here all options other than accidental strangulation can result in fixation or compression of chest wall. But in accidental strangulation there will be compression of the neck by a ligature without suspending the body i.e. there is no fixation of the chest wall. Hence it is not a type of traumatic asphyxia. Ref: The synopsis of forensic medicine & Toxicology 28th edition pg: 190